Muscle relaxant with ganglion blocker action is
1. Pancuronium
2. Trimethoprim
3. Curare
4. Halothane

Correct answer: 3. Curare

Explanation: Curare is an example of a non-depolarizing muscle relaxant that blocks the nicotinic acetylcholine receptor (nAChR), one of the two types of acetylcholine (ACh) receptors, at the neuromuscular junction